The genome of paramyxoviruses consists of:
1. Single stranded segmented RNA
2. Single stranded non-segmented RNA
3. Double stranded segmented DNA
4. Double stranded non-segmented DNA

Correct answer: 2. Single stranded non-segmented RNA

Explanation: Paramyxoviruses: Parainfluenza virus 1. Parainfluenza virus contains a single-stranded, nonsegmented, negative- sense RNA genome with nucleoproteins P and L. It is surrounded by a helical nucleocapsid, which contains glycoprotein spikes. Orthomyxovirus - Single stranded segmented RNA. Rotavirus - Double stranded segmented RNA. Segmental RNA is seen in: B: Bunyaviridae I: Influenza R: Reoviridae A: Arenaviridae